Surfactant appears in amniotic fluid at:
1. 20 wk
2. 28 wk
3. 32 wk
4. 4 wk

Correct answer: 2. 28 wk

Explanation: Begins to appears in amniotic fluid between 28-32 weeks. Surfactant synthesis begins in fetal lungs at 20 week Mature surfactant in adequate amount- >35 weeks